ULPA filters are used to disinfect
1. Water
2. Air
3. Urine
4. Blood

Correct answer: 2. Air

Explanation: ULPA (Ultra - low Particulate / penetration air filters)